A young child diagnosed with chronic osteomyelitis of the tibia. Doctor begun with sensitive antibiotics. Out of the listed parameters, which is best to monitor the response of antibiotic after 6 days?
1. ESR
2. C-reactive protein (CRP)
3. Differential WBC count
4. Total WBC count

Correct answer: 2. C-reactive protein (CRP)

Explanation: The C-reactive protein (CRP) values are usually elevated within 12-24 hours (reaches its peak) after the onset of symptoms. It returns to normal within 7-8 days after adequate treatment started, So it is best to monitor the antibiotic response. ESR returns to normal approximately 3 weeks after treatment is begun Both reactants (CRP+ESR) offer more information if simultaneously elevated. WBC count rises and the haemoglobin concentration may be diminished. In extremely young and old age , these tests are less reliable and may show values within the range of normal.